Which of the following supplements is used in the treatment of multiple carboxylase deficiency?
1. Biotin
2. Pyridoxin
3. Thiamine
4. Folic acid

Correct answer: 1. Biotin

Explanation: Biotin is a water soluble vitamin that is a cofactor for all carboxylase enzymes. Multiple carboxylase deficiency results from deficient carboxylase activity and is treated by biotin. Ref: Nelson's Textbook of Pediatrics 17th Edition, Page 412; Textbook of Clinical Pediatrics, Volume 1 By A. Y. Elzouki, F. B. Stapleton, R. J. Whitley, William Oh, H. A. Harfi, H. Nazer, 2011, Page 457